Which virus is implicated in Burkitts lymphoma?
1. HTLV
2. HPV
3. EBV
4. HHV8

Correct answer: 3. EBV

Explanation: Explanation: BURKITT LYMPHOMA There are three clinical types:
1. African (endemic) Burkitt lymphoma.
2. Sporadic (nonendemic) Burkitt lymphoma.
3. Aggressive lymphomas associated with HIV.
These 3 types are histologically identical. Morphology The tumor exhibits a high mitotic index and contains numerous apoptotic cells,
the nuclear remnants of which are phagocytosed by interspersed benign macrophages.
These phagocytes have abundant clear cytoplasm, creating a characteristic “starry sky” pattern. Immunophenotype These are tumors of mature B cells.
It express surface IgM, CD 19, CD20, CD 10 and BCL6. a phenotype consistent with a germinal center B-cell origin.
Unlike other tumors of germinal center origin, this does not express anti-apoptotic protein BCL2.
Molecular Pathogenesis All forms of Burkin lymphoma are associated with translocations of the c-MYC gene on chromosome 8.
The translocation partner is usually the IgH locus  light-chain loci.
All endemic tumors are latently infected with EBV. which is also present in about 25% of HIVassociated tumors and 15% to 20% of sporadic cases.
Clinical Features Endemic Burkitt lymphoma often presents as a mass involving the mandible and shows an unusual predilection for involvement of abdominal viscera,
particularly the kidneys, ovaries and adrenal glands. Sporadic Burkitt lymphoma most often appears as a mass involving the ileocecum and peritoneum.
Burkitt lymphoma is very aggressive but responds well to intensive chemotherapy